Polytrauma patient with open bleeding wound of right thigh should be managed first of all by
1. Tourniquet application
2. Tight bandage application
3. Airway maintenance
4. Blood transfusion

Correct answer: 3. Airway maintenance

Explanation: C i.e. Airway maintenance